The sterility of the root canal during treatment is assessed by
1. Radiographs
2. Clinical observations
3. Bacterial cultures
4. Colour of dressings

Correct answer: 3. Bacterial cultures